The risk of developing infective endocarditis is the least in a patient with -
1. Small VSD
2. Severe aortic regurgitation
3. Severe mitral regurgitation
4. Large ASD

Correct answer: 4. Large ASD